An Inflammed capillary hemangioma of the oral cavity
looks similar to a
1. Nevus
2. Neurofibronia
3. Pyogenic granuloma
4. Angiosarcoma

Correct answer: 3. Pyogenic granuloma